Vaccines that must be given before age of two years according to IAP are all of the following EXCEPT?
1. Varicella vaccine
2. MMR vaccine
3. Conjugated typhoid vaccine
4. Pneumococcal polysaccharide vaccine

Correct answer: 4. Pneumococcal polysaccharide vaccine

Explanation: Vaccine Recommended age of vaccination (1st dose) a. Varicella vaccine 15 months b. MMR vaccine 9 months c. Conjugated typhoid vaccine 9 months d. Pneumococcal polysaccharide vaccine Beyond 2 yrs age - As polysaccharides stimulate B-cells independent of T-cells, the pneumococcal polysaccharide is poorly immunogenic at <2yrs age & immunological memory is low - Hence, it is recommended beyond 2yrs of age.